The purpose of tilting the cast in surveying is:
1. To arrive at a design of partial denture
2. To get adequate stability
3. To place occlusal rest in position
4. To provide the most desirable path of placement

Correct answer: 4. To provide the most desirable path of placement